Who introduced cocaine in psychiatry :(
1. Freud
2. Jung
3. Milar
4. Stanley

Correct answer: 1. Freud

Explanation: A. i.e. Freud